The elastic modulus of dental amalgam:
1. 21 GPa at slow rates of loading
2. 35 GPa at slow rates of loading
3. 94 GPa at high rates of loading
4. Both 1 and 3

Correct answer: 1. 21 GPa at slow rates of loading

Explanation: Another example of strain-rate dependence is the elastic modulus of dental amalgam, which is 21 GPa at slow rates of loading and 62 GPa at high rates of loading. A viscoelastic material therefore may have widely different mechanical properties depending on the rate of load application, and for these materials, it is particularly important to specify the loading rate with the test results.
Ref:Craig’s Restorative Dentistry ed 14th pg 41